Following a surgical procedure on the right side of the neck, a patient can no longer raise his right arm above the horizontal position.The patient also cannot shrug his right shoulder. Which of the following nerves was injured?
1. Axillary nerve
2. Great auricular nerve
3. Greater occipital nerve
4. Spinal accessory nerve

Correct answer: 4. Spinal accessory nerve

Explanation: Supplies Trapezius and sternocleidomastoid